Syndrome associated with deafness is:
1. Usher syndrome
2. Waardenburg syndrome
3. Pendred syndrome
4. All of the above

Correct answer: 4. All of the above

Explanation: More than 200 syndromes are associated with hearing loss. Common syndromic forms of hearing loss, among others, include the following: (1) Usher syndrome (retinitis pigmentosa and hearing loss), (2) Waardenburg syndrome (pigmentary abnormality and hearing loss), (3) Pendred syndrome (thyroid organification defect and hearing loss), (4) Alport syndrome (renal disease and hearing loss), and (5) Jervell and Lange-Nielsen syndromes (prolonged QT interval and hearing loss).